Central dot sign is seen in
1. Primary sclerosing cholangitis
2. Liver Hamartoma
3. Caroli's disease
4. Polycystic liver disease

Correct answer: 3. Caroli's disease

Explanation: "central dot" sign: enhancing dots within the dilated intrahepatic bile ducts, representing portal radicles (seen in CT).